Basanti 27 years old female thinks her nose is ugly. Her idea is fixed and not shared by anyone else. Whenever she goes out of the home she hides her face. She visits a surgeon for plastic surgery. Next step would be-
1. Investigate & then operate
2. Reassure the patient
3. Immediate operation
4. Refer to psychiatrist

Correct answer: 4. Refer to psychiatrist

Explanation: This patient is suffering from delusional dysmorphophobia and requires psychiatric treatment. Treatment of choice is antipsychotics along with antidepressants.